Flaying is seen in which type of lacerated wound:
1. Split
2. Stretch
3. Avulsion
4. Cut

Correct answer: 3. Avulsion

Explanation: Avulsion laceration: Also called as Shearing laceration due to run-over injuries.Eg: lorry wheel passes over a limb. Flapping/ Flaying: A flap of tissues is stripped off from the underlying bone. Direction of flap - direction of force.